Alzheimer's disease associated chromosome is
1. 2
2. 6
3. 12
4. 19

Correct answer: 4. 19

Explanation: In familial Alzheimer disease and down syndrome. The gene encoding APP on chromosome 21 is involved.
The genitic locus on chromosome 19 that encodes apolipoprotein E (ADOE) has a strong inthences on the risk of developing AD.